The binding site for complement on the lgG molecule is in the
1. VL domain
2. CL domain
3. CH1 domain
4. CH2 domain

Correct answer: 4. CH2 domain